Treatment of presbyopia -
1. LASIK
2. Concave lens
3. Convex lens
4. Radial keratotomy

Correct answer: 3. Convex lens

Explanation: Treatment Optical treatment. The treatment of presbyopia is the prescription of appropriate convex glasses for near work.The weakest convex lens with which an individual can see clearly at the near point should be prescribed, since overcorrection will also result in asthenopic symptoms. Reference : A K KHURANA OPHTALMOLOGY,Edition 4,Page-42